Seen after tracheostomy
1. Inversion of V/P ratio
2. Increased V/P ratio
3. Decreased in dead space
4. Increased resistance of air flow

Correct answer: 3. Decreased in dead space

Explanation: Tracheostomy decreases all three :- V/P ratio, dead space, resistance to air flow.